Maximum chances of uretric injury are with:
1. TAH
2. Wertheims hysterectomy
3. Anterior colporrhaphy
4. Vaginal hysterectomy

Correct answer: 2. Wertheims hysterectomy